The Non-REM (NREM) sleep is commonly associated with -
1. Frequent dreaming
2. Frequent penile erections
3. Increased blood pressure
4. Night terrors

Correct answer: 4. Night terrors